Which of these does NOT undergo division?
1. Spermatid
2. Primary spermatocyte
3. Secondary spermatocyte
4. Spermatogonia

Correct answer: 1. Spermatid

Explanation: Spermatid does not undergo further division but gradually mature into spermatozoa by changing their shape. Their nuclei becomes oval, and eccentric and the cytoplasm elongates. Finally, spermatids develop into mature spermatozoa through the process called spermiogenesis.Spermatogonia are stem cells from which all sperm are generated and are descendants of the primordial germ cells that migrate to gonadal ridge from the yolk sac in early intrauterine life. They divide into primary spermatocyte.Primary spermatocyte divide meiotic division into secondary spermatocyte.Secondary spermatocyte now undergo second meiotic division to spermatids.Ref: Male Infertility: A Guide for the Clinician By Anne M. Jequier page 23.